The intricately and prodigiously looped system of veins and arteries that lie on the surface of the epididymis is known as -
1. Choroid plexus
2. Tuberal plexus
3. Pampiniform plexus
4. Pectiniform septum

Correct answer: 3. Pampiniform plexus